Mallory weiss Syndrome is caused due to tear in ?
1. Lower esophageal end.
2. Upper esophageal end.
3. Crico pharyngeal junction.
4. Gastro esophageal junction.

Correct answer: 4. Gastro esophageal junction.

Explanation: Ans. is 'd' i.e., Gastroesophageal junction Mallory -Weiss syndrome o Is characterized by mucosal tear at the gastroesophageal junction following a bout of forceful retching (or vomitting, coughing or straining). o The tear is partial thickness, extends through the mucosa and submucosa, but not through the muscular layer (compare this with Boerhave syndrome in which the tear is full thickness penetrating complete through all the layers of esophageal wall with spillage of contents into the mediastinum). o The clinical picture consists of acute upper gastrointestinal bleeding following bouts of retching or vomitting. The mean age of patients is older than 60 years. 80% are men" - Sabiston 17th/e p. 1254. o Majority of patients are alcoholics o Other frequent associations with Mallory - Weiss tears are --> Hiatal hernia, NSAIDs abuse, Disease related bleeding diathesis.